Glucose increases plasma insulin by a process that involves
1. GLUT 1
2. GLUT 2
3. GLUT 3
4. SGLT 1

Correct answer: 2. GLUT 2

Explanation: Ans. (b) GLUT 2(Ref: Ganong, 25th ed/p.432)The most important stimulus for secretion of insulin is glucoseGlucose enters pancreatic beta cells through glucose transporter- 2 (GLUT -2)